Lymph flow is increased by all except
1. Increased vascular permeability
2. Decreased capillary osmotic pressure
3. Increase in interstitial fluid
4. Decreased interstitial osmotic pressure

Correct answer: 4. Decreased interstitial osmotic pressure

Explanation: Any factor that increases interstitial fluid pressure also increases lymph flow if the lymph vessels are functioning normally. Such factors include the following: * Elevated capillary hydrostatic pressure * Decreased plasma colloid osmotic pressure * Increased interstitial fluid colloid osmotic pressure * Increased permeability of the capillariesAll of these factors cause a balance of fluid exchange at the blood capillary membrane to or fluid movement into the interstitium, thus increasing interstitial fluid volume, interstitial fluid pressure, and lymph flow all at the same time.